Congenital adrenal hyperplasia due to 11 beta hydroxylase deficiency presents with all except?
1. Metabolic acidosis
2. Hypokalemia
3. Hypernatremia
4. Hypertension

Correct answer: 1. Metabolic acidosis

Explanation: 11 -b-Hydroxylase Deficiency, is characterized by: Mineralocorticoid excess and hence hypertension can be seen. Mineralocorticoid excess leads to hypokalemia and Metabolic Alkalosis. Glucocorticoid deficiency leads to hypoglycemia and excess of ACTH leads to hyperpigmentation around genitals. Excess of adrenal androgens leads to Virilization Variant Gene Impact on Steroid Synthesis Diagnostic Marker in Serum (and Urine) 21-Hydroxylase CYP21A2 Glucocorticoid deficiency, mineralocorticoid deficiency, adrenal androgen excess 17-Hydroxyprogesterone 11-Hydroxylase deficiency (11OHD) CYP11B1 Glucocorticoid deficiency, mineralocorticoid excess, adrenal androgen excess 11-Deoxycortisol